Non medicated Intra Devices (IUDs) are called as
1. 1st generation IUDs
2. 2nd generation IUDs
3. 3rd generation IUDs
4. Multi – load devices

Correct answer: 1. 1st generation IUDs